Which of the following is late lactose fermenter:
1. E. coli
2. Klebsiella
3. Salmonella
4. Shigella sonnei

Correct answer: 4. Shigella sonnei

Explanation: Ans. is. 'd' i. e., Shigella sonnei